Variation of the eruption of the secondary dentition can be:
1. 5-8months.
2. 4-5months.
3. 12-18months.
4. 8-9months

Correct answer: 3. 12-18months.

Explanation: Variation of eruption for primary dentition is 4-5 months.
For secondary dentition is12-18 months.